"Chain of lakes" appearance seen in
1. Acute pancreatitis
2. Chronic pancreatitis
3. Carcinoma pancreas
4. Strawberry gall bladder

Correct answer: 2. Chronic pancreatitis

Explanation: Chain of lakes appearance or string of pearl appearance or Beaded appearance is characteristic of chronic pancreatitis Radiological Appearance of chronic pancreatitis Chain of lakes appearance String of pearl appearance Beaded appearance Numerous irregular calcifications are pathognomic (on Xray) Ref: Sabiston 20th edition Pgno : 1535